A person going to temple gets irresistable sense of idea to abuse. God which can't be resisted. Likely diagnosis is
1. Mania
2. Obscessive-Compulsive Disorder
3. Schizophrenia
4. Delusion

Correct answer: 2. Obscessive-Compulsive Disorder

Explanation: B i.e. Obscessive - compulsive disorderThe idea of abusing to God intrudes into the mind of this person. He knows that this is irrational & absurd as he is trying to resist it (insight present). And this attempt of resisting the idea also shows that this idea is Egoalien (not according to his personality).And this obsession is followed by the behaviour which is performed with a sense of compulsion. So the diagnosis is O.C.N.